Most radiosensitive tumor of the following is?
1. Dysgerminoma
2. Renal cell carcinoma
3. Melanoma
4. Thyroid carcinoma

Correct answer: 1. Dysgerminoma

Explanation: ANSWER: (A) DysgerminomaREF: Rozer's radiotherapy 3rd e table 11.3RADIOSENSITIVITY OF DIFFERENT TUMORSHighly radiosensitive* Ewings* Seminoma* Lymphoma* Wilms* Multiple myelomaModerately* Nasopharyngeal* Dysgerminoma* Medulloblastoma* Small cell ca* Teratoma* Breast ca* Ovarian ca* Basal cell caRelatively resistant* Renal cell ca* Rectal ca* Colonic ca* Ca cxHighly resistant* Hepatoma* Pancreatic ca* Osteosarcoma* Melanoma